24 hour pH manometery is gold standard investigation for?
1. Hiatal hernia
2. Barrett's esophagus
3. Reflux esophagitis
4. Esophageal ulcers

Correct answer: 3. Reflux esophagitis

Explanation: ANSWER: (C) Reflux esophagitisREF: Sabiston 18th ed p. 1112The gold standard for diagnosing and quantifying acid reflux is 24 hour pH test, and 24 hours pH score is DeMeester score